Bacteria may acquire characteristics by all of the following except -
1. Taking up soluble DNA fragments across their cell wall from other species
2. Incorporating part of host DNA
3. Through bacteriophages
4. Through conjugation

Correct answer: 2. Incorporating part of host DNA